What is the reason for Thyroid Storm after Total Thyroidectomy?
1. Due to Rough handling during Surgery.
2. Due to Inadequate preparation of patient
3. Recurrent Laryngeal Nerve Injury
4. Parathyroid Damage

Correct answer: 2. Due to Inadequate preparation of patient

Explanation: Ans. (b) Due to Inadequate Preparation of PatientRef: Surgery Sixer 3rd Edition 229* It is a condition of hyperthyroidism accompanied by fever, central nervous system agitation or depression, cardiovascular dysfunction that may be precipitated by infection, surgery or trauma and occasionally by amiodarone administration.* It is common in inadequately prepared patient for surgery, accompanied by excess thyroid hormone release.